Perl's stain or prussion blue test is for:
1. Bilirubin
2. Calcium
3. Hemosiderin
4. Glycogen

Correct answer: 3. Hemosiderin

Explanation: Perls' stain (Prussian-Blue Reaction) is to demonstrate Ferric salts in tissues. These are seen as iron  granules in bone marrow macrophages, erythroblasts (Sideroblasts) and erythrocytes (Siderocytes) in  blood ﬁlms and haemosiderin in spun urine.